Warthin Finkeldy cells are found in:-
1. Measles
2. Mumps
3. Molluscum contagiosum
4. Herpes simplex infection

Correct answer: 1. Measles

Explanation: Measles is caused by measles virus which has a characteristic feature of both intracytoplasmic and intranuclear inclusion bodies. The other name of such inclusion bodies is wahrin finkeldey cells and in molluscum contagiosum virus molluscum bodies are a feature.